Ramu 40 year old man, chronic Alcoholic, diagnosed as cirrhosis, presents with a lump in the right lobe of liver. Serum AFP level is normal. Most probable diagnosis is
1. Fibro hyperplasia
2. Hepatocellular carcinoma
3. Secondaries
4. Hepatic adenoma

Correct answer: 2. Hepatocellular carcinoma

Explanation: This is a typical case of HCC, remember AFP is raised in about 75% of Africans and only 30% of patients in US and Europe Ref: Sabiston 20th edition Pgno :1458-1463